A patient inventing new words, is a feature of ?
1. Neurosis
2. Schizophrenia
3. OCD
4. Von-Gogh syndrome

Correct answer: 2. Schizophrenia

Explanation: Ans B. SchizophreniaNeologism: - New words or condensations of several words that are not readily understood by others.Neologism is seen in schizophrenia and organic brain syndrome.